Proximal tubule proteinuria and painful bone lesions are seen in overdose of
1. Cadmium
2. Lead
3. Mercury
4. Phenol

Correct answer: 1. Cadmium

Explanation: Cadmium 1. Proximal tubule proteinuria and painful bone lesions are seen in overdose of Cadmium. 2. PCT necrosis is seen in- Arsenic, Carbon tetra Chloride, Cantharid, Lysol, Mercury, Phenol.) Ref : Krishnan vij Textbook of Forensic medicine and Toxicology 5th edtion ; pg no - 567